Tensile strength in the wound scar is
1. Similar to normal skin
2. More than normal skin
3. 80% of normal skin
4. 50% of normal skin

Correct answer: 3. 80% of normal skin

Explanation: This maturation of collagen leads to increased tensile strength in the wound which is maximal at the 12th-week post-injury and represents approximately 80% of the uninjured skin strength. Bailey and love 27e pg: 25